Which of the following complication is more in subsequent pregnancies in a woman with history of gestational trophoblastic disease?
1. No risk of structural defects
2. Neural tube defects
3. Cardiac defects
4. Skeletal defects

Correct answer: 1. No risk of structural defects

Explanation: After Uncomplicated Hydatidiform Mole can anticipate normal reproduction in the futureNo increased risk of complications in later gestationsIncreased risk of having a molar gestation in subsequent conceptionsCan expect normal reproduction in the future after GTNReference: William's Obstetrics; 25th edition, chapter 20; Gestational trophoblastic diseases